Not included in 90:90:90 target in National health policy 2017
1. 90 % of all people living with HIV know their HIV status
2. 90 % of all people living with HIV and TB Know their HIV status
3. 90 % of all people diagnosed with HIV received anti - retroviral therapy
4. 90 % of all people receiving antiretroviral therapy will have effective viral suppression

Correct answer: 2. 90 % of all people living with HIV and TB Know their HIV status

Explanation: National strategic plan for HIV and STI,

90 - 90 - 90 ⇒ Targets by 2020
95 - 95 - 95 ⇒ Targets by 2024,


95% of HIV positive people know their HIV status
95% of those who know their status receive anti - retroviral therapy.
95% of those who are on treatment have effective viral suppression.